Platelets activating factor causes all except
1. Bronchoconstriction
2. Vasoconstriction
3. Decreased vascular permeability
4. Vasodilation

Correct answer: 3. Decreased vascular permeability

Explanation: ref Robbins 8/e p60,9/e p73 PAFhas following inflammatory effects Platelets aggregation Vasoconstriction Bronchoconstriction